Hydrolytic degeneration is characterised by:
1. Caseation
2. Coagulation
3. Liquefaction
4. Fibrinoid

Correct answer: 3. Liquefaction